Decrease reflex response after repetitive stimulation is?
1. Summation
2. Fatigue
3. Irradiation
4. Occlusion

Correct answer: 2. Fatigue

Explanation: FatigueWhen a nerve is repetitively stimulated at a rapid rate, the number of charges by the postsynaptic neuron is at first very great but the firing rate becomes progressively less due to exhaustion of presynaptic neurotransmitter.This is called fatigue of synaptic transmission.Fatigue of synaptic transmission can cause fatigue of stretch reflex if the muscle spindle is stimulated repetitively.